Peak incidence of osteosarcoma occurs at:-
1. 2nd decade
2. 3rd decade
3. 5th decade
4. 6th decade

Correct answer: 1. 2nd decade

Explanation: * The most common bone tumor of 1st decade is Ewing's sarcoma.* The most common bone tumor of 2nd decade is osteosarcoma.* Both osteosarcoma and Ewing's sarcoma peak in 2nd decade (10-20 years of age).